A 6 year child presents with hepatosplenomegaly & generalized lymphadenopathy along with fever. The child developed a rash, after being administered ampicillin. What could be the possible diagnosis?
1. Infectious mononucleosis
2. Scarlet fever
3. Kawasaki disease
4. HIV infection

Correct answer: 1. Infectious mononucleosis

Explanation: Infectious mononucleosis: Aka glandular fever Etiological agents: Epstein-Barr virus (EBV) Mode of transmission: Blood transfusion, Direct contact C/F: Fever, headache, sore throat, generalized lymphadenopathy, splenomegaly, hepatomegaly Patients with infectious mononucleosis treated with ampicillin or amoxicillin may experience "Ampicillin rash" which may occur with other b- lactam antibiotics. This morbilliform, vasculitis "ampicillin rash" is probably immune mediated and resolves without specific treatment.